Drug used in day care anaesthesia -
1. Propofol
2. Enflurane
3. Xenon
4. Thiopentone

Correct answer: 1. Propofol

Explanation: Ans. is 'a' i.e.. PropofolAmbulatory (outpatient'dav caret Anaesthesiao Ambulatory or day care or outpatient anaesthesaia means, patient comes on same day. gets operated and is discharged on the same day. So, the drugs used in outpatient anaesthesia are those which have short duration of action. Anaesthetic techniques and agents ideal for day care surgery arePremedicationo Usually premedication is not used. However in anxious patients, midazolam is the drug of choice, which should be given 1-2 hours before surgery with sip of water by oral route or 30 min. Before surgery by i.m. route. If patient is prone to nausea nad vomiting, dolasetron is the drug of choice. Ondansetron is an alternative.Airwayo Laryngeal mask airway is preferred over intubation.Intravenous anaestheticso Intravenous route is the preferred method for induction. Propofol is the intravenous anaesthetic of choice for induction because of its smooth induction and rapid recovery'. Antiemetic action of propofol is also beneficial ? use of propofol for induction or maintenance of anaesthesia is associated with a reduced incidence of post - operative nausea and vomiting.Inhalational agentso Inhalational anaesthetics are preferred for maintenance. Desflurane (1st choice) and sevoflurane (2nd choice) are agents of choice. These agents are used along with N2O as N2O decreases the requirement of other anaesthetics hence fastening the recovery'. Halothane and isoflurane have largely been replaced by the less soluble desflurane and sevoflurane.Muscle relaxantso Mivacurium is the muscle relaxant of choice because of its short duration of action. Succinylcholine should be avoided as it causes post - operative myalgia. However, if intubation is required, succinylcholine remains the agent of choice.Opioid analgesicso Opioids compounds are frequently administered during anaesthesia to suppress autonomic responses to tracheal intubation and painful (noxious) surgical stimuli. These drugs are also useful supplements to inhaled anaesthetics during maintenance period. Alfentanil is the agent of choice because of rapid onset andshorter duration of action. Remifentanil is emerging as an alternative because of much shorter duration of action. Fentanyl or sufentanil can also be used.